Which of the following is non poisoning snake ?
1. Viper
2. Krait
3. Sea snake
4. Rat snake

Correct answer: 4. Rat snake

Explanation: Viper, Kraft and sea snake are poisons snakes.
Rat snake is non-poisonous snake.